T cell dependent region is -
1. Cortical follicles of lymph node
2. Medullary cords
3. Mantle layer
4. Paracortical area

Correct answer: 4. Paracortical area

Explanation: T lymphocytes home to the paracortex and interfollicular cortex of lymph nodes Reff: Anandhanarayanan & Panikers textbook of microbiology 9th edition pg:131